Windswept deformity is seen in which of th efollowing ?
1. Achondroplasia
2. Ankylosing spondylitis
3. Rickets
4. Scurvy

Correct answer: 3. Rickets

Explanation: *Windswept deformity is seen in rickets. * EXTREMITIES are most effected in rickets * Valgus or varus deformities * Windswept deformity (combination of valgus deformity of 1 leg with varus deformity of the other leg) * Anterior bowing of the tibia and femur * Coxa vara Ref: Nelson 18th/e chapter48